Graft between identical twins is known as
1. Autograft
2. Allograft
3. Heterograft
4. Isograft

Correct answer: 4. Isograft

Explanation: Autograft - transplant from the same person.
Isograft - transplant from twins.
Allograft - transplant from same species.